Pressure on carotid sinus causes
1. Hyperapnea
2. Tachycardia
3. Reflex bradycardia
4. Dyspnea

Correct answer: 3. Reflex bradycardia